The uricosuric agent used for acute gout in a chronic renal failure patient is:
1. Probenecid
2. Colchicine
3. Benzbromarone
4. Aspirin

Correct answer: 3. Benzbromarone

Explanation: Uricosuric agents such as probenecid can be used in patients with good renal function who underexcrete uric acid. Probenecid is generally not effective in patients with serum creatinine levels >177 mol/L (2 mg/dL). These patients may require allopurinol or benzbromarone. Benzbromarone is another uricosuric drug that is more effective in patients with renal failure. Ref: Schumacher H.R., Chen L.X. (2012). Chapter 333. Gout and Other Crystal-Associated Arthropathies. In D.L. Longo, A.S. Fauci, D.L. Kasper, S.L. Hauser, J.L. Jameson, J. Loscalzo (Eds), Harrison's Principles of Internal Medicine, 18e.